A G3P2L2 who is 34 weeks complains of decreased fetal movements since the last 24 hours. No other pregnancy related significant conditions. What should be done next?
1. Instruct the patient to go to hospital for a contraction stress test
2. Reassure the patient that one fetal movement per hour is within normal limits
3. Admit to the hospital for delivery
4. Instruct the patient to go to hospital for a nonstress test

Correct answer: 4. Instruct the patient to go to hospital for a nonstress test

Explanation: Quickening often occurs between 16 to 22 weeks of the pregnancy. The perception of 10 distinct movements in the 12 'waking' hours per day is reassuring... the Cardiff "count to ten" method The "count to 10" method includes the instructions for the woman to count fetal movements at the same time each day. If the woman experiences less than ten movements , she is instructed to contact her healthcare provider. A nonstress test is the preferred modality Delivery is not indicated until nonreassuring fetal status can be documented.